Congenital adrenal hyperplasia shows which clinical features-
1. Female pseudo hermaphrodite (pseudohermaph rodstism)
2. Hypertension
3. Electrolyte imbalance
4. All of above

Correct answer: 4. All of above

Explanation: Ans. is 'd' i.e., All of above Congenital adrenal hyperplasia (CAH) o Group of AR disorder o MC adrenal disorder in childhood 0 Most common =21 -hydroxylase deficiency OTHER IMP POINTS:-- 1-MALE PSEUDOOHERMAPHRODITISM IS SEEN IN- 17 alpha OH deficency 3 beta OH deficiency 2-HTN(hypernatremia and hypokalemia) is seen in- 17 alpha OH deficiency 11 beta OH deficiency